Mercury affects which part of the kidney -
1. PCT
2. DCT
3. Collecting duct
4. Loop of Henle

Correct answer: 1. PCT

Explanation: Ans. (a) PCT(Ref: Robbins 9th/pg 928; 8th/pg 938)Nephrotoxic AKI*Caused by Gentamicin, radiographic contrast agents, heavy metals (eg mercury), organic solvents (eg CCl4 ).*Extensive necrosis along mainly proximal convoluted tubule (PCT) & ascending limb of Henle's loop.*On histologic examination, non-specific tubular necrosis, with some distinctive features:Mercuric chlorideSeverly injured cells contain large acidophilic inclusions, become totally necrotic, & may undergo calcification.Carbon tetrachlorideAccumulation of neutral lipids (fatty change), followed by necrosis.Ethylene glycolMarked ballooning & hydropic or vacuolar degeneration of proximal convoluted tubules. Ca oxalate crystals are often found in the tubular lumens in such poisoning.